Suggestions to improve nutritious value of Mid-day meal – a) Sprouted pulse should be added as it has more nutrientb) Cereals–pulse ratio of 1:3c) Rice water left after cooking should be mixed with dald) Fermentation ↓ nutritive valuee) Food grain should be stored away from moist area
1. ace
2. bde
3. cde
4. ade

Correct answer: 1. ace